Foramen of Morgagni refers to an opening in ?
1. The brain
2. The lesser omentum
3. The skull
4. The diaphragm

Correct answer: 4. The diaphragm

Explanation: Foramen of morgagni is a small triangular diaphragmatic cleft bounded medially by muscle fibers originating from the sternum and laterally by the seventh costal cartilages. It occurs due to lack of fusion or muscularization of the pleuroperitoneal membrane anteriorly leading to a defect in the costosternal trigones. Diaphragmatic hernia can occur anteriorly at the foramen of morgagni and posterolaterally through the Bochdalek foramen or at the esophageal hiatus.Bochdalek foramen refers to the gap between the lumbar and costal elements. Openings in the diaphragm: The caval foramen is located on the right at the level of T8 within the central tendon.Esophageal foramen lies at T10 level.The aortic opening lies behind the diaphragm at its lowest point opposite to the T12 vertebrae.